Which of the following is an atypical antipsychotic ?
1. Clozapine
2. Chlorpromazine
3. Thiothixene
4. Haloperidol

Correct answer: 1. Clozapine